Following are the laboratory tests for the diagnosis of vestibular dysfunction except ?
1. Electronystagmography
2. Optokinetic test
3. Galvanic test
4. Gelle's test

Correct answer: 4. Gelle's test

Explanation: Ans. is 'd' i.e., Gelle's test Vestibular system The vestibular system contributes to balance and to the sense of spatial orientation. It is a sensory system that provides the leading contribution about movement and sense of balance. It includes the labyrinth (semicircular canals and otolith : utricle & sacules) of the inner ear and is situated in the vestibulum in the inner ear. The symptoms of vestibular dysfunction are vertigo, dizziness and Unbalance.